Which of the following is the best tool to measure communicability of an infection:
1. Prevalence rate
2. Primary attack rate
3. Secondary attack rate
4. Carrier rate

Correct answer: 3. Secondary attack rate

Explanation: Ans. c. Secondary attack rateSecondary attack rate is useful to determine whether a disease of unknown etiology is communicable or not and in evaluating the effectiveness of control measures such as isolation and immunization.